False about incomitant squint
1. Most common type of squint in adult
2. Paralysis of muscle present
3. Restricted ocular movements
4. Primary deviation is equal to secondary deviation

Correct answer: 4. Primary deviation is equal to secondary deviation

Explanation: Secondary deviation is greater than primary deviation in paralytic squint.